A young patient presents to the ophthalmology clinic with loss of central vision. ERG is normal but EOG is abnormal. Which of the following is the most likely diagnosis:
1. Stargardt's disease
2. Best's vitelliform dystrophy
3. Retinitis pigmentosa
4. Cone-rod dystrophy

Correct answer: 2. Best's vitelliform dystrophy

Explanation: Ans. Best's vitelliform dystrophy